In a child who has diarrhea and vomiting with inadequate water intake, which of the following is seen:
1. Intracellular dehydration with hypernatremia
2. Intracellular dehydration with hyponatremia
3. Extracellular dehydration with hyponatremia
4. Extracellular dehydration with hypernatremia

Correct answer: 1. Intracellular dehydration with hypernatremia

Explanation: Diarrhea- water losses exceeds sodium losses, potentially leading to hypernatremia Most children with gastroenteritis do not have hypernatremia- drink enough fluid to compensate for stool water losses. But in this case, baby has inadequate water and fluid intake, he is at risk of developing hypernatremic dehydration.